Histocompatibility complex associated with narcolepsy -
1. DR2
2. DR3
3. DR4
4. B4

Correct answer: 1. DR2